Her2/neu gene is on which chromosome?
1. 13
2. 14
3. 15
4. 17

Correct answer: 4. 17

Explanation: Answer- D. 17ERBB2, a known proto-oncogene, located at the long arm of human chromosome 17 (17q12)HER2 is a member of the human epidermal growth factor receptor (HER/EGFR/ERBB) which is plasma membrane-bound receptor tyrosine kinase.